Snowfield vision is characteristic of
1. Ethyl alcohol poisoning
2. Methyl alcohol poisoning
3. Ethylene glycol poisoning
4. Isopropanol poisoning

Correct answer: 2. Methyl alcohol poisoning

Explanation: Methyl alcohol poisoning Visual disturbances may be the early symptoms. The person may develop photophobia, blurring of vision (Snowfield vision), central and peripheral scotoma, dilated pupils and sudden failure of vision. Blindness is caused by formic acid accumulation in the retinal cells and optic disc show degenerative changes and edema on fundoscopy. Ref: FORENSIC MEDICINE AND TOXICOLOGY Dr PC IGNATIUS THIRD EDITION PAGE 444